Alarm clock headache is:
1. Sphenopalatine neuralgia.
2. Auriculotemporal neuralgia.
3. Glossopharyngeal neuralgia.
4. Occipital neuralgia.

Correct answer: 1. Sphenopalatine neuralgia.